'Boxer's attitude' is seen in person dying of:
1. Fear
2. Poisoning
3. Burns
4. Strangulation

Correct answer: 3. Burns

Explanation: Burns